All of the following are precancerous conditions except:
1. SLE
2. Peutz-Jeghers syndrome
3. Plummer-Vinson syndrome
4. Xeroderma pigmentosum

Correct answer: 1. SLE